Klinefelter syndrome is diagnosed by –
1. Karyotyping
2. USG abdomen
3. Triple test
4. Echocardiography

Correct answer: 1. Karyotyping